Tricyclic antidepressants have all of the following actions except ?
1. Anticholinergic action
2. MAO inhibition
3. Block 5-HT or NE reuptake
4. Causes sedation

Correct answer: 2. MAO inhibition

Explanation: Ans- B. MAO inhibitionTricyclic antidepressants (TCAS) are either NA + 5HT reuptake inhibitors (e.g. - Imipramine,Amitriptyline) or predominantly NA reuptake inhibitors (e.g. Desipramine, nortriptyline).TCAs are not MAO inhibitors.Adverse effects of TCFs are : anticholinergic side effects, sedatior, mental confusion, weakness, increase appetite & weight gain, sweating & fine tremor, postural hypotension and cardiac arrhythmia.